Most common cause of unilateral pedal edema
1. Pregnancy
2. Lymphedema
3. Venous insufficiency
4. Milroy disease

Correct answer: 3. Venous insufficiency

Explanation: Ans. is 'c' i.e., Venous insufficiency The most likely cause of leg edema in patients over age 50 is venous insufficiency. Venous insufficiency affects up to 30% of the population, whereas heart failure affects only approximately 1%. The most important cause of unilateral pedal edema is venous insufficiency. Milroys disease : The defect in Milroy's disease is present from birth and symptoms are usually first experienced in childhood. The most common problem is one-sided leg swelling, unilateral edema, which is progressive and can affect both legs. Impaired intestinal lymphatics can cause steatorrhea due to impaired transport of chylomicrons